If two buds of pancreas do not fuse, the anomaly is-
1. Ectopic pancreas
2. Pancreatic divisum
3. Annular pancreas
4. Accessory pancreas

Correct answer: 2. Pancreatic divisum